Not a predisposing factor for cholangiocarcinoma
1. Asiatic cholangiohepatitis
2. Cholelithiasis
3. Ulcerative colitis
4. Choledochal cyst

Correct answer: 2. Cholelithiasis

Explanation: Choledocholithiasis, not the cholelithiasis is a risk factor for cholangiocarcinoma Risk factors for cholangiocarcinoma Choledochal cyst Primary sclerosing cholangitis Ulcerative colitis. RPC or hepatolithiasis. Biliary enteric anastomosis HBV, HIV, HCV Choledocholithiasis Clonorchis sinensis and opisthorchis viverrini Cirrhosis Radon Asbestos, Nitrosamines, Dioxib(AND). Diabetes, Obesity, OCP's, smoking, Thorotrast, Isoniazid(DOSTI) Ref: Sabiston 20th edition Pgno :1514